Poor prognostic factor in chizophrenia is:
1. Acute onset
2. Family history of affective disorder
3. Middle age
4. Past history of schizophrenia

Correct answer: 4. Past history of schizophrenia

Explanation: Past history of schizophrenia